Amacrine cells are seen in:
1. Retina
2. Skin in the axilla
3. Inner ear
4. Blood

Correct answer: 1. Retina

Explanation: Ans. A. Retinaa. A special category of micro-neurons, lacking an obvious axon, consists of amacrine cells.b. In these cells nervous conduction is apparently possible in either direction along their dendrite-like processes.c. Amacrine cells have long been known in the retina where they lie in synaptic contact with ganglion and other cells but their presence is also indicated in other parts of the central nervous system, including the olfactory bulbs (granule cells) and possibly, the lateral geniculate body.